The fastest acting schizontocidal drug among the following is:
1. Artemether
2. Mefloquine
3. Chloroquine
4. Proguanil

Correct answer: 1. Artemether

Explanation: Artemisinin derivatives like dihydroartemisinin, arteether and artemether etc. are fastest acting antimalarial drugs.